Most commonly recommended method of removing plaque from the interdental area:
1. Dental floss.
2. Wooden tips
3. Plastic tips.
4. Interdental brushes.

Correct answer: 1. Dental floss.

Explanation: Dental floss is the most commonly recommended mothod of removing plaque from the interdental area.
Types of dental floss:

Twisted or non-twisted
Bonded or non-bonded
Waxed or unwaxed
Thick or thin